. When rectal washouts are given to Hirshsprung's disease, the following fluid is used -
1. 5% dextrose
2. Normal saline
3. Soap solution
4. Tap water

Correct answer: 2. Normal saline